Mc Naughten's rule comes under
1. Sec 86 IPC
2. Sec 98 IPC
3. Sec 84 IPC
4. Sec 82 IPC

Correct answer: 3. Sec 84 IPC

Explanation: Sec 84 IPC says that "Nothing is an offence which is done by a person, who at the time of doing it, by reason of unsoundness of mind, is incapable of knowing the nature of the act, or that he is doing what is either wrong or contrary to law.